Isolation is strictly recommended for -
1. HIV
2. Measles
3. Brucellosis
4. Pneumonic plague

Correct answer: 4. Pneumonic plague

Explanation: All patients with pneumonic plague including suspected cases should be isolated. Most bubonic plague patients are non-infectious, isolation recommended whenever possible. Ref: PARK'S TEXTBOOK OF PREVENTIVE AND SOCIAL MEDICINE 23rd edition pg 296